Which of the following is not a difference between Centric relation and Centric occlusion?
1. Centric relation is a bone to bone relationship. Centric occlusion is the relationship of upper and lower teeth to each other.
2. Centric relation is for denture occlusion, whereas centric occlusion is present in natural dentition.
3. For denture patients CR=CO. For natural dentition CR≠CO.
4. In natural dentition, the centric occlusion is usually posterior to centric relation

Correct answer: 4. In natural dentition, the centric occlusion is usually posterior to centric relation

Explanation: Centric relation is present behind centric occlusion in natural dentition.